Wilm's tumor is associated with the following except –
1. Aniridia
2. Horse-shoe kidney
3. Hemihypertrophy
4. Opsoclonus

Correct answer: 4. Opsoclonus